A 74-year-old woman has metastatic bone disease on x-ray. Which of the following mediators is least likely to be involved?
1. interleukin-6 (IL-6)
2. ectopic parathyroid hormone (PTH)
3. tumor necrosis factor (TNF)
4. interleukin-1 (IL-1)

Correct answer: 2. ectopic parathyroid hormone (PTH)

Explanation: A whole host of locally produced hormones and cytokines, as well as ectopically produced hormones, are implicated in local osteoclastic hypercalcemia. Parathormone-related protein is often elevated in malignant hypercalcemia (with or without bony metastases), but ectopic PTH production in malignancy is quite rare.